All are true regarding sarcoma botryoides except:a) Seen in vaginab) Grape like clusters are seenc) Seen in elderly womend) It is an adenocarcinomae) Familial incidence is common
1. abd
2. acd
3. cde
4. ade

Correct answer: 3. cde